Masochism means:
1. Sexual intercourse with dead body
2. Sexual pleasure by contact with articles of opposite sex
3. Sexual pleasure by suffering of pain
4. Sexual pleasure by self-stimulation

Correct answer: 3. Sexual pleasure by suffering of pain

Explanation: Ans. Sexual pleasure by suffering of pain